What is the marker for endodermal sinus tumor?
1. CA-125
2. HCG
3. AFP
4. Inhibin

Correct answer: 3. AFP

Explanation: Ans. is 'c' i.e., AFP * Endodermal sinus tumor (yolk sac tumor) is positive for AFP and a 1-antitrypsin. * The effects of biological changes caused by radiation can be categorized into 1) Stochastic effects # A stochastic effect is one where the probability of the effect occurring is governed by the law of chance. Thus, for radiation-induced stochastic effects, the greater the radiation dose received, the greater the probability of the effect occurring. It should be noted that it is the probability of the occurrence of effect which is related to dose not the severity. That means the bigger the dose, the more likely the effect will occur and the lower the dose, the less likely the effect will occur. # This has two important consequences in terms of stochastic effects:- i) There is no safe dose limit All doses of radiation carry some risk and there is no threshold. ii) The severity of the effect is unrelated to the radiation dose received, since the probability of the effect occurring is chance related. # Stochastic effects cannot be definitely associated with radiation exposure and occur in both general populations as well as in irradiated people. # Two important stochastic effects due to exposure to ionizing radiation are a) Radiation-induced cancers b) Genetic effects 2) Non - stochastic (Deterministic or threshold) effects # A deterministic effect of radiation is one:- i) Whose severity increases with radiation dose ii) For which there is usually a threshold below which the effect will not occur. # These effects are definitely associated with radiation exposure and occur only in irradiated people. # Examples of deterministic effects include erythema, cataract, hair loss, impairment of fertility, Myelosuppression.